Which of the following lobes of the prostate forms the uvula vesicae?
1. Anterior
2. Posterior
3. Median
4. Lateral

Correct answer: 3. Median

Explanation: The median lobe of the prostate forms the uvula vesicae. Uvula vesicae is an elevation in the muscous membrane of the urinary bladder, behind the internal urethral orifice. It is often enlarged in benign prostatic hypertrophy. Ref: Gray's Anatomy 41st edition Pgno: 1258